A 3 months old male infant developed otitis media for which he was given a course of Co–trimoxazole. A few days later, he developed extensive peeling of the skin; there were no mucosal lesions and the baby was not toxic. The most likely diagnosis is –
1. Toxic epidermal necrolysis
2. Staphylococcal scalded skin syndrome
3. Steven Johnsom syndrome
4. Infantile pemphigus

Correct answer: 2. Staphylococcal scalded skin syndrome